A child presents with seborrheic dermatitis, sinusitis and chronically draining ears. On examination child has failure to thrive with hepatosplenomegaly and exophthalmos. Probable diagnosis is
1. Histiocytosis-X
2. Wegener's granulomatosis
3. Chronic granulomatous disease
4. Chediak-Higashi syndrome

Correct answer: 1. Histiocytosis-X

Explanation: Ans. a. Histiocytosis-X